HIV virus has predilection for infecting:
1. CD4 + T cells
2. CD 8 cells
3. Macrophages
4. Plasma cells

Correct answer: 1. CD4 + T cells

Explanation: CD4 + T cells